Which of the following opioids is not given intrathecally?
1. Remifentanil
2. Morphine
3. Sufentanil
4. Fentanyl

Correct answer: 1. Remifentanil